Sub pubic angle is :
1. <65deg
2. 65deg- 75deg
3. 85deg
4. 110deg- 120deg

Correct answer: 3. 85deg

Explanation: 85deg